An anesthetic agent with boiling temperature more than 75 C is
1. Ether
2. Halothane
3. Cyclopropane
4. Methoxyflurane

Correct answer: 4. Methoxyflurane

Explanation: Refer Anesthesiology by Longnecker 2008/777 Boiling point of methoxyflurane is 104,7 degree Celsius whereas other flurrinated anesthetics have boiling point between 50 C and 60 C